Markedly inappropriate sensitivity, self - importance and suspiciousness are clinical features of:
1. Antisocial PD
2. Histrionic PD
3. Schizoid PD
4. Paranoid PD

Correct answer: 4. Paranoid PD

Explanation: Paranoid PD These individuals are sensitive and suspicious. They mistrust others and suspect their motives and are prone to jealousy. They are touchy, irritable, argumentative, and stubborn Some of these people have a strong sense of self-importance and special ability